The force of muscle contraction can be increased by all of the following except:
1. Increasing the frequency of activation of motor units
2. Increasing the number of motor units activated
3. Increasing the amplitude of action potentials in the motor neurons
4. Recruiting larger motor units

Correct answer: 3. Increasing the amplitude of action potentials in the motor neurons

Explanation: Action potential follows an all or none law. When sufficient amplitude is reached to produce a motor response, increasing the amplitude further will not have any effect on the motor response. Ref: Review of Medical Physiology by William F Ganong, 19th Edition Page 70 ; Biomechanics and Biology of Movement By Benno Maurus Nig, Page 275.